A 35-year-old man is admitted after severing his arm on industrial machinery. His airway is patent and there is no identifiable hindrance to breathing. Hispulse is 110 beats/min, blood pressure is 130/105 mmHg, and respiratory rate is 25 breaths/min. Which stage of shock is this patient in?
1. Class I
2. Class II
3. Class III
4. Class IV

Correct answer: 2. Class II

Explanation: The following table illustrates the clinical signs of the different stages of hypovolaemic shock. Class I Class II Class III Class IV Percent blood loss Up to 15 15-30 30-40 >40 Pulse rate <100 >100 >120 >140 Blood pressure Normal Normal | | Pulse pressure Normal | | | Respiratory rate 14-20 20-30 30-40 >35 Urine output (mL/h) >30 20-30 5-15 <5 Mental status Slight anxiety Mild anxiety Anxious, confused Confused